Caspases are associated with:
1. Organogenesis
2. Hydropic degeneration
3. Collagen hyalinization
4. -

Correct answer: 1. Organogenesis

Explanation: . Organogenesis